A finished and polished amalgam will:
1. Tarnish with time
2. Not tarnish and corrode easily
3. Show secondary caries
4. Do none of the above

Correct answer: 2. Not tarnish and corrode easily